Wind swept deformity is seen in –
1. Scurvy
2. Rickets
3. Achondroplasia
4. Osteoporosis

Correct answer: 2. Rickets